Neostigmine antagonizes non-depolarizing blockade by all of the following mechanisms EXCEPT
1. Decreasing the breakdown of acetylcholine at the motor end plate
2. Preventing the K+ efflux from the cell
3. Increasing the release of acetylcholine at the motor end plate
4. Depolarization at the motor end plate

Correct answer: 2. Preventing the K+ efflux from the cell

Explanation: Neostigmine, sold under the brand name Prostigmin among others, is a medication used to treat myasthenia gravis, Ogilvie syndrome, and urinary retention without the presence of a blockage. It is also used together with atropine to end the effects of neuromuscular blocking medication of the non-depolarizing type.